Horner's syndrome is characterised by all of the following except:
1. Contralateral enophthalmos
2. Ipsilateral miosis
3. Ipsilateral ptosis
4. Anhydrosis of the affected side of face

Correct answer: 1. Contralateral enophthalmos

Explanation: Ans. Contralateral enophthalmos